False about protease inhibitors in HIV is -
1. They are powerful enzyme inhibitors
2. Of all the protease inhibitors saquinavir is the most powerful inhibitor of CYP3A4
3. They cause hepatotoxicity
4. All protease inhibitors are substrates for P glycoprotein coded by MDR gene.

Correct answer: 2. Of all the protease inhibitors saquinavir is the most powerful inhibitor of CYP3A4

Explanation: Ans. is 'b' i.e., Of all protease inhibitors saquinavir is the most powerful inhibitor of CYP3A4 "Saquinavir is a weak inhibitor of CYP3A4". About other options All protease inhibitors (especially ritonavir and lopinavir) are potent inhibitors of CYP3A4 - Ritonavir has the most pronounced inhibitory effect, while saquinavir has the least. o Most HIV protease inhibitors are substrates for P-glycoprotein drug transporter (P-gp), which is an efflux pump encoded by the mdr 1 gene. Goodman & Gilman 1 lth/e 1297 Indinavir and atazanavir can cause indirect hyperbilirubinemias with overt jaundice.